Investigation of choice in SAH:
1. CT scan
2. MRI
3. X-ray skull
4. Radionuclide scan

Correct answer: 1. CT scan

Explanation: Ans. CT scan